Most common oralinfection in diabetes mellitus?
1. Candida
2. Aspergilius
3. Streptococcus
4. Staphylococcus

Correct answer: 1. Candida

Explanation: Ans. is 'a' i.e., Candida Repeat